NARP syndrome is seen as:
1. Mitochondrial function disorder
2. Glycogen storage disorder
3. Lysosomal storage disorder
4. Lipid storage disorder

Correct answer: 1. Mitochondrial function disorder

Explanation: Mitochondrial function disorder